Most potent vasopresser is:
1. Angiotensin II
2. Renin.
3. Aldosterone.
4. Cortisole

Correct answer: 1. Angiotensin II

Explanation: Ganong 22 –456
Angiotensin I appears to function solely as the precursor of angiotensin II does not have any other established action. Angiotensin II- previously called hypertension or angiotonin- produces arteriolar constriction and a rise in systolic and diastolic blood pressure. It is one of the most potent vasoconstrictors known, being four to eight times as active as norepinephrine.